Insulin causes intracellular shift of which of the following ion?
1. Na+
2. K+
3. Chloride
4. Calcium

Correct answer: 2. K+

Explanation: Ans. B. K+Insulin lowers serum K+ concentration i.e., causes hypokalemia.The hypokalemic action of insulin is due to stimulation of K+ intake by the cells mainly in muscle and adipose tissue.Insulin increases the activity of Na+ - K+ ATPase in cell membrane, so that more K+ is pumped into cells.